All the following are features of Anorexia Nervosa except -
1. Predominantly seen in females
2. There is loss of weight at the time of presentation
3. Amenorrhea is rare
4. Avoidance of high caloric foods

Correct answer: 3. Amenorrhea is rare